A 6 years old female child presents with severe pain in throat and odynophagia, since one week General examination revealed, cervical lymphadenopathy, but no signs or symptoms of upper airway obstruction. Intra-oral examination revealed swelling, redness and protrusion of both tonsils, Most common causathe agent is:
1. Haemolytic streptococcus
2. Non-haemolytic streptococcus
3. H. influenza
4. Staphylococci

Correct answer: 1. Haemolytic streptococcus

Explanation: Haemolytic streptococcus BACTERIAL PHARYNGOTONSILLITIS Etiology Group A beta-haemolytic streptococcus is the most common and important pathogen causing acute bacterial pharyngotonsillitis. This infection most commonly presents in children aged 5-6 yrs. SYMPTOMS It is characterized by fever, dry sore throat, cervical adenopathy, dysphagia and odynophagia. The tonsils and pharyngeal mucosa are erythematous and may be covered with purulent exudate; the tongue may also become red (strawberry tongue). DIAGNOSIS In cases of strongly suspected pharyngitis caused by group A beta hemolytic streptococcus the combination of rapid strep tests based on ELISA (enzyme-linked immunosorbent assay) or latex agglutination, with a throat culture if negative, increases the sensitivity and specificity of either test alone. TREATMENT The primary antibiotic treatment for streptococcal pharyngotonsillitis consists of penicillin.